Example of type 4 hypersensitivity is:
1. Serum sickness
2. Granulomatous reaction
3. Schwartzman reaction
4. Arthus reaction

Correct answer: 2. Granulomatous reaction

Explanation: Ans. b. Granulomatous reaction